The disulfiram alcohol reaction occurs due to inhibition of which enzyme:
1. Alcohol reductase
2. Alcohol dehydrogenase
3. Aldehyde reductase
4. Aldehyde dehydrogenase

Correct answer: 4. Aldehyde dehydrogenase